Which about development is not true ?
1. Pincer grasp at 3 months
2. Sitting at 6 months
3. Social smile at 3 months
4. 2 year old can use pleurals

Correct answer: 1. Pincer grasp at 3 months

Explanation: Ans. is 'a' i.e., Pincer grasp at 3 months "Pincer grasp with thumb and finger apposition is acquired by 9-10 months". Children accomplish maturation of different biological functions (level of development or milestone) at an anticipated age, with a margin of few months on either sides. The denver development screening Test (DDST) assesses the child's development in four separate segments. Gross motor functions Fine motor and adaptive functions Personal social functions Language functions Age Milestone Gross motor 3 months Neck holding 5 months Sitting with support 8 months Sitting without support 9 months Standing with support 10 months Walking with support 12 months Standing without support 13 months Walking without support 18 months Running 24 months Walking upstairs 36 months Riding tricycle Fine motor 4 months Grasps a rattle or rings when placed in hand 5 months Reaches out to an object and holds it with both hands (intentional reaching with bidextrous grasp) 7 months Holding objects with crude grasp from palm (palmar grasp) 9 months Holding small object, like a pellet, between index finger and thumb (pincer grasp) Language 1 month Turns head to sound 3 months Cooing 6 months Monosyllables (`ma', ba') 9 months Bisyllable (`mama', 'baba') 12 months Two words with meaning 18 months Ten words with meaning 24 months Simple sentence Personal social 2 months Social smile 3 months Recognizing mother 6 months Smiles at mirror image 9 months Waves `bye-bye' 12 months (1 year) Plays a simple ball game 36 months (3 years) Knows gender Coming back to the question : - o Pincer grasp develops by 9 months (9-11 months) o Child can sit with support by 5 months o Social smile will be present at 3 months (social smile develops by 2 months). o 2 year old child makes simple sentences and can use pleurals.